Spinothalamic tract carries -
1. Proprioception
2. Kinestheis
3. Two point discrimina
4. Pain and temperature

Correct answer: 4. Pain and temperature